The major source of estrogen after menopause is?
1. Aromatization of androgens in theca cells of ovary
2. Aromatization of androgens in granulosa cells of the ovary
3. Aromatization of androgens in adipose tissue
4. Adrenal production of estrogens

Correct answer: 3. Aromatization of androgens in adipose tissue

Explanation: Androgen production from the ovary continues beyond menopausal transition caused by sparing of ovarian stroma and theca cells. However due to loss of granulosa cell function, ovary does not contribute to estrogen production by aromatization of androgens. The most important source of estrogen is peripheral conversion of androgens produced by ovary and adrenals, principally occurring in adipose tissue.